True about dermoid cyst
1. Lined by columnar epithelium
2. Dose not contain hair
3. Median angle of eye is the most common site
4. Rupture is associated with foreign body type inflammation

Correct answer: 4. Rupture is associated with foreign body type inflammation

Explanation: Ans. (d) Rupture is associated with Foreign body type inflammationRef: Short Cases Das Ch. 1* Dermoid cyst is lined by squamous epithelium and contains pultaceous material inside.* Teratomatous type of dermoid cyst contains all layers -- epithelium, endothelium and mesothelium -- hence contain -- hair, muscle, teeth etc* Most common type of dermoid is sequestration dermoid found at the line of fusion of epithelium -- common in external angular, postauricular etc.* It produces bony indentation* Rupture is associated with FB type inflammation.